Surfer's ear is
1. Exostosis
2. Otosclerosis
3. Otitis externa
4. Squamous cell Ca

Correct answer: 1. Exostosis